Oronasal intubation is not indicated in?
1. Lefort 1 #
2. Lefort 2 and 3 #
3. Parietal bone #
4. Mandibular #

Correct answer: 2. Lefort 2 and 3 #

Explanation: Nasal intubation is contraindicated in severe fractures of midface, nasal fracture and basilar skull fracture